A 27-year-old man presents with a left testicular tumor with a 10 cm retroperitoneal lymph node mass. The treatment of choice is -
1. Radiotherapy
2. Immunotherapy with interferon and interleukins
3. Left high inguinal orchiectomy plus chemotherapy
4. Chemotherapy alone

Correct answer: 3. Left high inguinal orchiectomy plus chemotherapy

Explanation: This patient has retroperitoneal lymph node mass, hence its stage II. It's more than 5 cm thus its stage He.
Treatment of stages for HC and beyond is the same for both seminomas & nonseminomas i.e.→ chemotherapy after inguinal orchiectomy